Which concept was put forth by Pettenkofer in (1819-1901)
1. Ecological concept
2. Holistic concept
3. Multifactorial causation
4. Biomedical Concept

Correct answer: 3. Multifactorial causation

Explanation: Multifactorial Causation
This concept was put forth by Pettenkofer of Munich (1819-1901). "Modern" diseases of civilization like coronary heart disease and cancers could not be explained on the basis of the 'single cause idea', because they were due to multiple factors. This concept offers multiple approaches for the prevention of disease.